False statements about selegiline is:
1. It is a MAO-A inhibitor
2. Does not cause cheese reaction
3. It decreases wearing off effect of levo-dopa
4. It is used in Parkinsonism

Correct answer: 1. It is a MAO-A inhibitor

Explanation: Ref: KDT 8th ed. Selegeline and rasagiline are selective MAO-B inhibitors useful in Parkinsonism. These drugs inhibit the metabolism of dopamine in the brain and thus can decrease wearing off effect. cheese reaction is not associated with these agents.